A 68-yr-old man came with pain and swelling of the right knee. Ahlback grade 2 osteoarthritic changes were found on investigation. What is the further management?
1. Arthroscopic washout
2. High tibial osteotomy.
3. Total knee replacement
4. Conservative

Correct answer: 4. Conservative

Explanation: Type I to Type III are treated by conservative treatment which includes :


Non-pharmacological therapy: Lifestyle modification, Physiotherapy (exercise), Bracing & arthrosis
Pharmacological therapy: NSAIDS, intraarticular injection of steroid or hyaluronic acid.


If conservative treatments fail, surgery is indicated and surgical options are:-

i) Arthroscopic washout or debridement

ii) Realignment osteotomy: Proximal / High tibial osteotomy, Distal femoral / Supracondylar osteotomy
iii) Unicompartmental arthroplasty
iv) Total knee arthroplasty / Total knee replacement

Type IV and Type V are treated with surgery.
Total knee replacement (TKR) is the surgery of choice.